Which part of subclavian artery is affected by stenosis is:
1. First part
2. Second part
3. Third part
4. All parts are equally affected

Correct answer: 1. First part

Explanation: Most common etiology of subclavian stenosis is atherosclerosis, and it mostly affects the ostium or proximal part of subclavian artery. Ref: Peripheral and Cerebrovascular Intervention By Deepak L. Bhatt, Page 102